All are mechanism of defence except:
1. Repression
2. Transference
3. Projection
4. Anticipation

Correct answer: 2. Transference

Explanation: B i.e. Transference